Which among the following is the commonest type of parotid tumor?
1. Pleomorphic tumor
2. Warthin's tumor
3. Adenoid cystic Ca
4. Secondaries

Correct answer: 1. Pleomorphic tumor

Explanation: Pleomorphic adenomas, or benign mixed tumors, are the most common neoplasms of the salivary glands. They represent approximately 60-70% of all parotid tumors and 90% of submandibular benign tumors. These neoplasms affect females more than males and are commonly seen in the third to sixth decades of life. It presents as an isolated swelling or mass in the submandibular gland with little associated pain. Ref: Butt F.Y. (2012). Chapter 18. Benign Diseases of the Salivary Glands. In A.K. Lalwani (Ed), CURRENT Diagnosis & Treatment in Otolaryngology--Head & Neck Surgery, 3e.